Radiation protector drug in clinical use among the following is
1. Amifostine
2. Cisplatin
3. Mesna
4. Tirapazamine

Correct answer: 1. Amifostine

Explanation: Amifostine is used therapeutically to reduce the incidence of neutropenia-related fever and infection induced by DNA-binding chemotherapeutic agents including alkylating agents and platinum-containing agents . It is also used to decrease the cumulative nephrotoxicity associated with platinum-containing agents. Amifostine is also indicated to reduce the incidence of xerostomia in patients undergoing radiotherapy for head and neck cancerReference: Perez and Brady's textbook of radiation oncology; 6th edition